ADA specification number for gypsum products are described under:
1. 1
2. 4
3. 12
4. 25

Correct answer: 4. 25